Gastric irritation is least with following NSA1D:
1. Diclofenac
2. Acetaminophen
3. Ibuprofen
4. Naproxen

Correct answer: 2. Acetaminophen

Explanation: Ans. B (Acetaminophen) "Gastric mucosal damageQ: Gastric pain, mucosal erosion/ ulceration and blood loss are produced by all MSAIDs to varying extents: relative gastric toxicity is a major consideration in the choice of MSAIDs. Paracetamol", a very weak inhibitor of COX is practically free of gastric toxicity and selective (misoprosto) administered concurrently with NSAIDsanatgonise their gastric toxicity"- KDT 6th/186Aspirin is acetylsalicylic acid KDT 6th/187